Treatment of choice for Hepatorenal syndrome is ?
1. ACE inliibitors
2. Calcium channel blockers
3. Peritoneal dialysis
4. Liver transplant

Correct answer: 4. Liver transplant

Explanation: Davidson's principles and practice of medicine 22nd edition. Treatment consist of albumin infusions in combinations with terlipressin and is effective in about 2/ 3 rd of patients.Patients who survive should be consider for liver transplantation.